Spider-leg sign on IVP is suggestive of:
1. Pyelonephritis
2. Renal artery stenosis
3. Polycystic kidney disease
4. Bilateral hydronephrosis

Correct answer: 3. Polycystic kidney disease

Explanation: Ans. C: Polycystic kidney disease Polycystic Kidneys Bilateral renal swelling in a man with or without dragging pain in the loin Hematuria Uremia Urine: Low specific gravity with albumin and a few casts IVP: Attenuated and elongated (spider leg) calyces with terminal clubbing or cupping.